A 36 year old female presents to the outpatient department with generalized weakness and weight gain. On examination, diffuse non-tender enlargement of thyroid gland is present. Fine needle aspiration cytology shows lymphocytic infiltration with germinal centers and epithelial hurthle cells. Which of the following is most likely associated with this patient?
1. Anti histone antibody
2. Anti mitochondrial antibody
3. Anti TSH receptor antibody
4. Anti microsomal antibody

Correct answer: 4. Anti microsomal antibody

Explanation: Answer: d) Anti-microsomal antibodyCHRONIC LYMPHOCYTIC or HASHIMOTO'S THYROIDITIS or NON GOITROUS or STRUMA LYMPHOMATOSAMost common cause of hypothyroidism in non-iodine deficiency regionsChronic autoimmune disorder with family history of autoimmune diseaseMC in women at menopausePainless enlargement of both lobes, which are firm, rubbery, firm and tenderPolymorphisms in immune regulation-associated genes, including cytotoxic T lymphocyte- associated antigen-4 (CTLA4) and protein tyrosine phosphatase-22 (PTPN22)Association with HLA DR 5 is seenMechanism of thyroid cell deathCD8+ cytotoxic T cell-mediated cell deathCytokine-mediated cell deathAutoantibodiesAnti microosomal antibodiesAnti thyroid peroxidase antibodiesAnti thyroglobulin antibodiesPathologyExtensive lymphocytic infiltration with germinal cells & epithelial hurthle cells(Askanazy cells)No colloid in the follicleMild hyperthyroidism present initially but hypothyroidism is inevitableOccasionally predisposes to papillary CA| risk of development of extranodal marginal zone B-cell lymphomas within the thyroid gland